Factors which help in descent of presenting part during labour are all except
1. Uterine contraction and retraction
2. Straightening of the fetal axis
3. Bearing down efforts
4. Resistance from the pelvic floor

Correct answer: 4. Resistance from the pelvic floor

Explanation: Factors facilitating descent are Uterine contraction and retraction Bearing down efforts Straightening of the fetal ovoid specially after rupture of membranes